Postmortem caloricity is:
1. | - ed temp within 2 hours of death
2. Rapid fall in temp after death
3. | - ed temp after 6-8 hours of death
4. Decreases in temperature followed by rise

Correct answer: 1. | - ed temp within 2 hours of death

Explanation: A i.e. | - ed temperature within first 2 hours of death